Features of Horner's syndrome include all of the following except-
1. Miosis
2. Ptosis
3. Anhydrosis
4. Exopthalmos

Correct answer: 4. Exopthalmos

Explanation: There is enophthalmos (not exophthalmos).